Wood lamp is used to diagnose ?
1. Psoriasis
2. Tinea versicolor
3. Pityriasis rosae
4. Erysipelas

Correct answer: 2. Tinea versicolor

Explanation: Ans. is b i.e., Tinea versicolor Diagnosis of TineaVersicolor Examination of scales in 10% KOH shows short hyphae and round spores (Sphagetti and meat ball appearance). Wood lamp shows apple green fluorescence (blue-green fluorescence). Skin surface biopsy --> A Cyanoacrylate adhesive (Crazy glue) is used to remove the layer of stratum coreum on glass slide and then stained with PAS reagent.